A 25 year old man presented with fever, cough, expectoration and breathlessness of 2 months duration. Contrast enchanced computed tomography of the chest showed bilateral upper lobe fibrotic lesions and mediastinum had enlarged necrotic nodes with peripheral rim enhancement. Which one of the following is the most probable diagnosis?Sarcoidosis
1. Sarcoidosis
2. Tuberculosis
3. Lymphoma
4. Silicosis

Correct answer: 2. Tuberculosis

Explanation: B i.e. Tuberculosis Expectoration is a common manifestation in tuberculosis. It is usually not associated with sarcoidosis, silicosis & lymphoma. B/L Upper lobe fibrosis makes lymphoma unlikely. It may be seen in other conditions and m.c. in tuberculosis. Diagnosis of silicosis is based on relevant occupational history (10-12 years exposure is usually necessary). Radiological features of